Between 2 countries mortality compared best by-
1. Age adjusted rates
2. Crude rates
3. Propotional rates
4. None

Correct answer: 1. Age adjusted rates

Explanation: ref: Park's 23rd edition pg 58 Advantage of age adjusted standardised death rates is that it removes all the confounding effects of different age structures and yields a single standardised adjusted rate, by which the mortality experience can be direclty compared.